En coup de sabre lesion is seen in ?
1. Neonatal lupus
2. Systemic JIA
3. Juvenile Dermatomyosistis
4. Juvenile Scleroderma

Correct answer: 4. Juvenile Scleroderma

Explanation: En coup de Sabre lesion is seen in juvenile localized scleroderma (morphea) It appears as an indented , vertical, colorless, line of skin on the forehead. The indentation looks as though the person may have struck (coup) by a sword (sabre) This lesion involves the scalp/or face; lesion can extend into the centra; nervous system, resulting in neurologic sequelae, which are most commonly seizures and headaches. Ref: nelson textbook of pediatrics 21st edition Pgno: 1286